'Squint' test is used as guide for selecting
1. Shade of teeth
2. Shape of teeth
3. Length of teeth
4. None of the above

Correct answer: 1. Shade of teeth